Which of the following is likely to cause obstructive shock?
1. Myocardial infarction
2. Dysrhythmia
3. Tension pneumothorax
4. Valvular heart disease

Correct answer: 3. Tension pneumothorax

Explanation: Common causes of obstructive shock include cardiac tamponade, tension pneumothorax, massive pulmonary embolus and air embolus.